Optic vesicle is derived from ?
1. Neuroectoderm
2. Surface ectoderm
3. Endoderm
4. Mesoderum

Correct answer: 1. Neuroectoderm

Explanation: Ans. is'a'i.e., Neuroectoderm(Ref Indo Khurana ernbryology p. 268)Formation of optic cupAn outgrowth from prosencephalon forms optic vesicle (neuroectodermal structure).Proximal part of optic vesicle becomes constricted and elongated to form optic stalk.